Vaginal changes in normal pregnancy show:
1. High pH
2. Increased lactobacilli
3. Increased anaerobic bacteria
4. Decrease in glycogen contents

Correct answer: 2. Increased lactobacilli

Explanation: The considerably increased volume of cervical secretions within the vagina during pregnancy consists of a somewhat thick, white discharge. The pH is acidic, varying from 3.5 to 6. This results from increased production of lactic acid from glycogen in the vaginal epithelium by the action of Lactobacillus acidophilus. The number of Lactobacilli also increase.